Following operations are done in case of otosclerosis:
1. Stapedectomy
2. Fenestration
3. Stapedotomy
4. All

Correct answer: 4. All

Explanation: Role of surgery in a case of otosclerosisSurgeryformsthe mainstay of management in a case of otosclerosis(Surgery of choice)|Stapedectoy / stapedotmy(surgery oh choice) Lemperts fenestration procedure|Fenestration of the lateral semicircular canal is done. It is reserved for cases where footplate cannot be mobilized during stapedectomy(Outdated nowadays) Stapes mobilization|It is done in those cases only in wbichthere is partial ankylosis of footplate of stapes althoughreankylosis tends to develop a although reankylosis tends to develop